During cardiopulmonary resuscitation, external cardiac compression is given over
1. Upper third of sternum
2. Mid third of sternum
3. Lower third of sternum
4. Precordium overall

Correct answer: 3. Lower third of sternum

Explanation: Ans. c (Lower third of sternum) (Ref. Short text book of Anaesthesia, 2nd ed196)External cardiac massage InfantsChildrenAdultsPulse checkBrachial/ femoralCarotidCarotid/ femoralCompression areaMidsternumMidsternumLower 1/3 rd of sternumCompression with2-3 fingers or by thumbs while chest in encircled by both handsHeel of one handBoth hands, one palm over other and hand should be extended at elbowCompression depth 1/2 -1 inch1- 1/2 inch1 1/2 inchRate100/min100/min100/minRatio of cardiac compression to breathing5:15:130:2UK Resuscitation Council Adult Life Support (ALS) Alorithm -2010